Cytopathology deals with -
1. Cellular changes for diagnosis of disease
2. Tissue changes for diagnosis of disease
3. Both 'a' and 'b'
4. None of the above

Correct answer: 1. Cellular changes for diagnosis of disease

Explanation: Ans. is 'a' i.e., Cellular changes for diagnosis of disease Cytologyo Cytology is the study of cells.o Cytology is that branch of life science, which deals with the study of cells in terms of structure, function and chemistry.o Robert Hooke is sometimes seen as the father of cytology.